Abductor pollicis brevis is supplied by -
1. Ulnar nerve
2. Median nerve
3. Ulnar and Median nerve
4. Radial nerve

Correct answer: 2. Median nerve